All of these are considered procedures for the purpose of female sterilisation, EXCEPT?
1. Mini lap tubal ligation
2. Laparoscopic tubal ligation
3. Laparoscopic Puerperal Sterlisation
4. hysteroscopic tubal occlusion

Correct answer: 3. Laparoscopic Puerperal Sterlisation

Explanation: Laparotomy, minilaparotmy and laparoscopy are commonly done for female sterilisation. Hysteroscopic method of ligation, ESSURE is another upcoming method, where a Nitinol alloy made spring like device is introduced hysteroscopically into both tubes to cause occlusion with fibrosis. This fibrosis takes place almost over 3 months after which a Confirmatory HSG is done to check the occlusion. Laparoscopic tubal sterilisation in pureprium is known cause for failure of procedure since the rings are known to 'Slip-out' of the oedematous puerperal tubes. Also, the chances of uterine injury are higher. Puerperal sterilisation is done by a mini-lap incision and laparoscopy is not done in these patients A sub-total or a total Hysterectomy is no longer considered for the sole purpose of sterilisation because morbidity and mortality are too high compared to tubal sterilisation methods, unless there is uterine pathology requiring a hysterectomy.